Pathological is seen in following except:
1. Radiation
2. Anaemia
3. Osteoporosis
4. Osteomalacia

Correct answer: 2. Anaemia

Explanation: B i.e. Anaemia Pathological Fracture A fracture in an abnormal bone is referred to as pathological fracture. Abnormal bone means a bone rendered weak by a disease localized to a particular hone, or by a generalised bone disorder. Bone that fractures spontaneously, or after trivial trauma must be regarded as abnormal until proven otherwise. Vertebral bodies (thoracic & lumbar) are the most often affected bones f/b neckfemur & lower end radius (colle's ). Most common cause is osteoporosisQ. Other causes of pathological fractures are: Localized Diseases* Chronic infection eg. tubercular & pyogenicosteomyelitis.* Eosinophilic granuloma* Benign neoplastic lesions- Solitary bone cystQ- Aneurysmal bone cystQ- Fibrous cortical defect- Monostotic fibrous dysplasia- Chondromyxoid fibroma- Chondroma (Enchondroma)Q- Osteoclastoma (giant cell tumor)* Malignant bone tumor- Osteosarcoma- Ewing's tumor- Chondrosarcoma* Atrophic bone due to- Polio- Radiation (Radiotherapy)Q Generalised Diseases Congenital/ Developmental- Osteogenesis imperfecta- Osteopetrosis- 011iers disease (multiple enchondromatosis /dyschondroplasia).- Polyostotic fibrous dysplasia- Histiocytosis X- Gaucher's disease* Acquired Disorders producing osteopenia- Osteoporosis (most common cause)Q- OsteomalaciaQ- Hyperparathyroidism- Renal osteodystrophy- Paget's disease- Myeloma * Other metabolic bone diseasesQ- Rickets- Scurvy* Disseminated malignancyin bones- Multiple myeloma- Myelomatosis- Metastatic carcinomaQ (2^d m.c)